Sense organ which is having efferent supply -
1. Golgi tendon organ
2. Organ ofcorti
3. Retina
4. Taste bud

Correct answer: 2. Organ ofcorti

Explanation: Ans. is 'b' i.e., Organ of corti o Afferent (sensory) neurons carry information form sense organs to CNS (brain & spinal cord),o Hair cells (in organ of corti) are the sensory recepors w hich are also innerv ated by efferent neurons.infrastructure of auditory receptors, the outer and inner hair ceilsNote : Muscle spindles (strech receptors) also have efferent (A g neuron) supply.